In Sturge-Weber syndrome, the ocular manifestation is
1. Retinal hemorrhage
2. Pulsating exophthalmos
3. Lisch nodules
4. Hemangioma of choroid and glaucoma

Correct answer: 4. Hemangioma of choroid and glaucoma

Explanation: Sturge weber syndrome Sturge-Weber syndrome is a condition that affects the development of certain blood vessels, causing abnormalities in the brain, skin, and eyes from birth. ... In people with Sturge-Weber syndrome, the port-wine birthmark is most often on the face, typically on the forehead, temple, or Eyelid. Ref :